Initiator codon in prokaryotes:
1. UAA
2. UGA
3. AUG
4. UAG

Correct answer: 3. AUG

Explanation: Ans. (c) AUGRef: Lippincott's Biochemistry, 6th ed. P 457 - 458* Initiator codon in eukaryotes: AUG (codes for methionine)* Initiator codon In prokaryotes: AUG (codes for N-Formyl methi-onine)* Stop codons:# UAG: Amber# UGA: Opal# UAA: Ochre